Which of the following karyotype is seen in a nineteen year old female with short stature, wide spread nipples and primary amenorrhoea?
1. 47, XX+18
2. 46, XXY
3. 47, XXY
4. 45 X

Correct answer: 4. 45 X

Explanation: Patient described in the question is most likely a case of Turner's syndrome as indicated by the clinical features. Turner's syndrome results from complete or partial loss of one X chromosome resulting in the karyotype 45X. It is primarily characterized by hypogonadism in phenotypic females. Ref: Robbins Pathologic Basis of Disease, 6th Edition, Page 174-5.